The muscle of tongue not supplied by the hypoglossal nerve is:
1. Hyoglossus
2. Styloglossus
3. Genioglossus
4. Palatoglossus

Correct answer: 4. Palatoglossus